Sine wave pattern in E.C.G. is seen in-
1. Hypokalemia
2. Hyperkalemia
3. Hyponatremia
4. Hypermatremia

Correct answer: 2. Hyperkalemia